A patient presenting with abdominal pain, blood in stools and a palpable mass on examination. A Barium Study was performed, probable diagnosis is?
1. Meckel's Diverticulum
2. Intussusception
3. Volvulus
4. Diverticulitis

Correct answer: 2. Intussusception

Explanation: The above shown image of barium study shows"Coiled spring appearance", which is characterstic of Intussusception. INTUSSUSCEPTION It is a condition in which one segment of intestine telescopes inside of another, causing an intestinal obstruction. It usually presents with nausea, vomiting,pain abdomen with blood in stools. Palpable abdominal mass may be found on physical examination. On Barium: Figure: Coiled spring appearance on Barium study in Intussusception.